Enlargement of pituitary tumor after adrenalectomy is called as:
1. Nelson syndrome
2. Steel-Richardson syndrome
3. Hamman-Rich syndrome
4. Job's syndrome

Correct answer: 1. Nelson syndrome

Explanation: Nelson Syndrome: Nelson syndrome refers to a spectrum of symptoms ansd signs arising from an adrenocorticotropin (ACTH)- secreting pituitary macroadenoma after a therapeutic bilateral adrenalectomy The spectrum of clinical features observed relates to the local effects of tumors on surrounding structures , the secondary loss of other pituitary hormones, and the effects of the high serum concentrations of ACTH on the skin Ref: Harrison 19th edition PGno: 2273